In which of the following condition does oxygen dissociation curve shifts to right?
1. Hyperkalemia
2. Hypokalemia
3. Metabolic alkalosis
4. Anemia

Correct answer: 4. Anemia

Explanation: Shift of oxygen dissociation curve to the right is caused by factors that decrease the affinity of hemoglobin for oxygen. This is advantageous in the tissues because the blood offloads more oxygen. Conditions which decreases oxygen availability as in anemia and hypoxia the levels of 2,3 DPG increases and shifts the curve to right. Factors which cause shift to right are: High Pco2 Acidic pH Rise in temperature Rise in red cell DPG concentration Factors that cause shift to left are: Low Pco2 High pH Fall in temperature Fall in red cell DPG concentration Fetal hemoglobin Ref: Principles of Medical Physiology By Sabyasachi Sircar page 344. Anesthesiology Keywords Review edited by Raj K. Modak page 325.